Which of the following cell types are the most potent activator of T-cell ?
1. Bell
2. Follicular Dendritic Cells
3. Mature dendritic cells
4. Macrophages

Correct answer: 3. Mature dendritic cells

Explanation: "Mature dendritic cells are the most potent activator of naive T-cell" Dendritic Cells: Bone marrow derived cells There are two types of cells with dendritic morphology: - Interdigitating dendritic cells - Follicular dendritic cells Interdigitating dendritic cells or just dendritic cells are the most important antigen presenting cells for initiating primary immune response against protein antigens. REF : ananthanarayana 10th ed